Contraindication of LASIK among the following is
1. >= 20 years
2. Keratoconus
3. Normal cornea
4. Myopia of -8D

Correct answer: 2. Keratoconus

Explanation: Any corneal defect is a contraindication for LASIK. Laser in-situ keratomileusis (LASIK) Currently, this procedure is being considered the refractive surgery of choice for myopia up to -12D. In this technique first, a flap of 130-160 micron thickness of anterior corneal tissue is raised. After creating a corneal flap midstromal tissue is ablated directly with an excimer laser beam, ultimately flattening the cornea. Patient selection criteria are: 1. Patients above 20 years of age 2. Stable refraction for at least 12 months 3. Motivated patient 4. The absence of corneal pathology: Presence of ectasia or any other corneal pathology and a corneal thickness less than 450 mm is an absolute contraindication for LASIK. Because keratoconus is a degenerative corneal disease that causes thinning of the cornea and leads to unpredictable and irregular changes in the shape of the front surface of the eye, LASIK generally is not recommended for anyone with keratoconus Reference: AK khurana 7th edition page 256